Both hyperplasia and hypertrophy are seen in?
1. Breast enlargement during lactation
2. Uterus during pregnancy
3. Skeletal muscle enlargement during exercise
4. Left ventricular hypertrophy during heart failure

Correct answer: 2. Uterus during pregnancy

Explanation: Hypertrophy refers to an increase in the size of cells, resulting in an increase in the size of the organ. The increased size of the cells is due to the synthesis of more structural components The massive physiologic growth of the uterus during pregnancy is a good example of hormone-induced increase in the size of an organ that results from both hypertrophy and hyperplasia Regarding the 'a' choice, Breast enlargement during lactation;- prolactin and estrogen cause hypertrophy of the breasts during lactation. Hormonal hyperplasia is best exemplified by the proliferation of the glandular epithelium of the female breast at puberty and during pregnancy.